Who gave Web of causation theory?
1. John snow
2. Antonie van Leeuwenhoek
3. Macmahon and Pugh
4. Louis pasteur

Correct answer: 3. Macmahon and Pugh

Explanation: The Web of causation theory was given by Macmahon and Pugh. It is based upon the epidemiological triad of: Agent Host Environment Ref : Park 20/e, Page 32.